Percentage of bilirubin production from old RBCs
1. 20%
2. 80%
3. 100%
4. 40%

Correct answer: 2. 80%

Explanation: (B) 80% > Bilirubin is the end product of heme degradation.> From 70 to 90% of bilirubin is derived from degradation of the hemoglobin of senescent red blood cells.> Bilirubin produced in the periphery is transported to the liver within the plasma, where, due to its insolubility in aqueous solutions, it is tightly bound to albumin.